Elek test is used for detecting toxins of the following infection:
1. Influenza
2. Diphtheria
3. Brucellosis
4. Cholera

Correct answer: 2. Diphtheria

Explanation: Elek gel precipitation test is used for detection of Diphtheria toxin. A presumptive C diphtheriae isolate should be subjected to testing for toxigenicity. Such tests are performed only in reference public health laboratories. There are several methods, as follows: The modified Elek method described by the World Health Organization Diphtheria Reference Unit Polymerase chain reaction (PCR)-based methods Enzyme-linked immunosorbent assays Immunochromographic strip assay Ref: Brooks G.F. (2013). Chapter 12. Aerobic Non-Spore-Forming Gram-Positive Bacilli: Corynebacterium, Listeria, Erysipelothrix, Actinomycetes, and Related Pathogens. In G.F. Brooks (Ed), Jawetz, Melnick, & Adelberg's Medical Microbiology, 26e.